Which of the following is the nerve of third branchial arch
1. Facial nerve
2. Trigeminal
3. Vagus
4. Glossopharyngeal

Correct answer: 4. Glossopharyngeal